Pisiform bone articulates with?
1. Triquetral
2. Lunate
3. Scaphoid
4. Trapezoid

Correct answer: 1. Triquetral

Explanation: Ans. (a) TriquetralRef: Snell's 8th ed / 402